Which of these is not a type of healthy bone healing?
1. Contact healing
2. Gap healing
3. Healing with callus formation
4. Fibrous healing

Correct answer: 4. Fibrous healing

Explanation: Primary healing - Contact and gap healing
Secondary healing - healing with callus formation
Non-union - fibrous / soft tissue ingrowth between segments or eburnated segment margins.